Chromosomes 15, 17 translocation is seen in which leukemia:
1. APML
2. CML
3. CLL
4. None of the above

Correct answer: 1. APML

Explanation: APML